To rule out rheumatoid arthrirtis, most important among the followings is -
1. HLA DR8
2. HLA DR4
3. HLA DQ1
4. HLA B27

Correct answer: 2. HLA DR4

Explanation: Answer- B. HLA DR4DR4 is strongly associated with RA (also with Type 1 DM Pemphigus vulgaris).